All are seen in Kwashiorkor EXCEPT
1. Increase appetite
2. Flag sign on hair
3. Hepatomegaly
4. Apathy

Correct answer: 1. Increase appetite

Explanation: Ans: (a) Increase appetiteRef : OP Ghai 8th ed./99* Kwashiorkor is protein and calorie deficiency and hence the serum albumin of the child is very low. This causes the child to develop pedal edema and generalized anasarca later.* Since the child is not eating proteins, essential amino acids like phenylalanine is deficient and therefore the child forms less of melanin. This results in hair of the child being reddish in color. This color change of hair strand is seen as FLAG sign.* The children with kwashiorkor have a FATTY liver and thereby a hepatomegaly.* Apathy means lack of interest in surroundings and therefore this child is not interested in playing with the mother or toys. This occurs due to brain damage secondary to chronic protein deprivation.* NOTE: increased appetite can be seen in patients with Marasmus.